Passive impression technique involves:
1. Impression with silicone
2. Impression compound
3. Impression plaster
4. Alginate

Correct answer: 3. Impression plaster